The following statements are related to the treatment of carcinoma cervix stage 1B except:
1. Surgery and radiotherapy have got almost equal 5-year-survival rate
2. Surgery has got less morbidity than radiotherapy
3. Radiotherapy has got higher limitations
4. In younger age group, radiotherapy is preferred

Correct answer: 4. In younger age group, radiotherapy is preferred

Explanation: Primary radiotherapy consisting of brachytherapy followed by external radiation yeids the same 5 year cure rate as that of surgery,80-90% Many surgical cases show positive lymph node metastasis which will require additional postoperative radiotherapy,and increse in morbidity young women in this group,warrant special considerations regarding the destruction of ovaries,stenosis of vagina,pyometra following radiotherapy,which is not desirable SHAW,S TEXTBOOK OF GYNECOLOGY,Pg no:414,15th edition